Most common type of renal adenocarcinoma is?
1. Clear cell type
2. Chromophobe type
3. Papillary type
4. Tubular type

Correct answer: 1. Clear cell type

Explanation: Ans. is 'a' i.e., Clear cell type * Clear cell carcinoma is the most common type of renal cancer accounting for about 70% to 80% of the renal cell cancer.